Hair on end appearance in skull X-ray is characteristic of:
1. Sickle cell anemia
2. Thalasemia
3. Megaloblastic anemia
4. Hemochromatosis

Correct answer: 2. Thalasemia

Explanation: Ans. Thalasemia